Osteoporosis is characterized most commonly by -a) Fracture vertebrab) Backache c) Bowing of legsd) Abdominal pain
1. ab
2. a
3. ad
4. bc

Correct answer: 1. ab

Explanation: Clinical features of osteoporosis 

Osteoporosis is an asymptomatic disorder unless complications (predominantly fractures) occur.
Most common symptom of osteoporosis is back pain secondary to vertebral compression fracture.
Dorso-lumbar spine is the most frequent site.
Other common sites of fracture are lower end radius (Colle's fracture) and fracture neck femur.